After overnight fasting, levels of Glucose transporters are reduced in
1. Brain cells
2. Hepatocytes
3. Adipocytes
4. RBCs

Correct answer: 3. Adipocytes

Explanation: Overnight fasting causes insulin levels to fall. This decreases the number of glucose transporters which are insulin dependent.
Insulin-dependent glucose transporters are GLUT-4, present in adipocytes, skeletal and cardiac muscles. Rest of the glucose transporters are not insulin dependent.